Which of the following is true of brachial plexus injuries?
1. They occur exclusively with shoulder dystocia.
2. They are usually permanent.
3. They may result in Erb palsy or Klumpke paralysis,
4. They frequently occur after downward traction on the posterior shoulder during delivery.

Correct answer: 3. They may result in Erb palsy or Klumpke paralysis,

Explanation: Erb palsy and Klumpke paralysis may result from injury to the brachial plexus. Only half of the injuries are associated with shoulder dystocia. Importantly, almost all of these injuries resolved by 1 year of life.